After starting your patient on imipramine, his heart rate rises to 120/min and he has blurred vision. These effects can be explained by the fact imipramine:
1. Is a muscarinic antagonist
2. Potentiates epinephrine
3. Is a ganglionic blocker
4. Is a potent a-adrenergic blocker

Correct answer: 1. Is a muscarinic antagonist